Which of the following methods is most suitable for isolating gene of long DNA molecules
1. Sanger's sequencing
2. Southern blotting RFCP
3. RFCP
4. Chromosome walking

Correct answer: 4. Chromosome walking

Explanation: Chromosome walking is the best method to isolate gene from long segment of DNA.